Pulled up caecum is a feature of?
1. Malignancy
2. Intussusception
3. Necrotising enterocolitis
4. TB

Correct answer: 4. TB

Explanation: Pulled up caecum is a feature of TB